MAC stands for –
1. Minimum alveolar concentration
2. Minimal analgesic concentration
3. Minimal anaesthetic concentration
4. Maximum alveolar concentration

Correct answer: 1. Minimum alveolar concentration